ANCA positive vasculitis include all of the following Except:
1. Wegner's granulomatosis
2. Churg strauss syndrome
3. Microscopic PAN
4. Good pasture's syndrome

Correct answer: 4. Good pasture's syndrome

Explanation: Answer is D (Good pasture's syndrome): Goodpasture's syndrome is not classified as an ANCA positive vasculitis.